All of the following affect the equilibrium in HardyWeinberg’s law, except
1. Small population
2. Random mating
3. Mutations
4. Gene outflow

Correct answer: 2. Random mating